Where is bruit heard in thyroid gland in Toxicosis?
1. Upper pole
2. Lower pole
3. Middle pole
4. Lateral side

Correct answer: 1. Upper pole

Explanation: Ans. (a) Upper poleRef: Schwartz principles of surgery, 10th edition, Page 1531* At the level of insertion of superior thyroid artery due to increased blood flow the Bruit is heard at upper pole